Most numerous fibers in dental pulp are
1. A-delta
2. A-beta
3. C fibres
4. Gamma fibres

Correct answer: 3. C fibres